Vitamin B12 deficiency is likely to cause -
1. Bitemporal heminanopia
2. Binasal hemianopia
3. Heteronymous hemianopia
4. Centrocecal scotoma

Correct answer: 4. Centrocecal scotoma

Explanation: Vitamin B12 (also known as cobalamin) is an essential vitamin for neurological function. Vitamin B12 deficiency optic neuropathy is a rare complication of this deficiency that results in progressive, bilateral, painless vision loss that is often associated with reduced color vision and central or cecocentral scotomas. Ref AK khurana 6/e